Which is the following is an example of low grade Non-Hodgkin's lymphoma?
1. Follicular lymphoma
2. Burkitt lymphoma
3. Diffuse large cell lymphoma (DLBCL)
4. Lymphoblastic lymphoma

Correct answer: 1. Follicular lymphoma

Explanation: Follicular Lymphoma is a low grade non-Hodgkin's lymphoma Most common form of indolent lymphoma in adults. Hallmark is a (14;18) translocation that juxtaposes the IGH locus on chromosome 14 and the BCL2 locus on chromosome 18. The t(14;18) is seen in up to 90% of follicular lymphomas and leads to overexpression of BCL2. Tumor cells comprise of small lymphoid cells with condensed chromatin and irregular or cleaved nuclear outlines (centrocytes) are mixed with a population of larger cells with nucleoli (centroblasts). Following image shows Follicular lymphoma (variably-sized follicles effacing lymph node architecture) Following image of Follicular lymphoma showing centroblast and centrocyte DLBCL, Burkitt lymphoma and lymphoblastic lymphoma are all high-grade NHLs.